All are true about Fragile X syndrome except ?
1. Large'head
2. Large nose
3. Large ear
4. Large testis

Correct answer: 2. Large nose

Explanation: Ans. is 'b' i.e., Large nose Fragile - X syndrome o Fragile - X syndrome is the prototype of diseases in which the mutation is characterized by a long repeating sequence of three nucleotides. In fragile X syndrome,trinucleotide repeat mutation involve CGG on non coding region. o Clinical features of fragile - X syndrome Intellectual disability Long face with large mandible q Hyperexntesible joint q Mitral valve prolapse Large everted ears Large testis (macro-orchidism) q High arched palate o Fragile X syndrome is the second most common cause of intellectual disability, after Downs syndrome.